Karyopyknotic index is a method for?
1. Ovarian carcinoma
2. Hormonal evaluation
3. Dysplasia measurement
4. Measurement of cells in active replication

Correct answer: 2. Hormonal evaluation

Explanation: Ans. (b) Hormonal evaluationKaryopyknotic index' is a method for Hormonal evaluation; Has nothing to do with karyotyping Karyopyknotic index is % of intermediate and superficial cells of squamous epithelium of vagina which have pyknotic nuclei.